During growth factor-induced cellular regeneration, which transition during cell cycle is controlled by the phosphorylation of the retinoblastoma protein:
1. G0 to Gl
2. Gl to S
3. S to G2
4. G2 to M

Correct answer: 2. Gl to S

Explanation: Rb proteins control any extremely important check point, the Gi to S transition during the cell cycle. The other checkpoints are regulated by a distinct set of proteins.